Puberty happens due to pulasatile release of -
1. GnRH
2. Estrogen
3. LH/ICSH
4. Testosterone

Correct answer: 1. GnRH

Explanation: Ans. is 'a' i.e., GnRH o Puberty is the process of physical changes through which a child's body matures into an adult body capable of sexual reproduction.o It is initiated by the release of GnRH hormone in pulseso On average, girls begin puberty around ages 10-11; boys around ages 11-12. Girls usually complete puberty around ages 15-17,while boys usually complete puberty around ages 16-17.o The major landmark of puberty for females is menarche, the onset of menstruation, which occurs on average between ages 12-13;for males, it is the first ejaculation, which occurs on average at age 13